Oral contraceptives pills predisposes to which of the following:
1. Asthma
2. Cerebral stroke
3. Peripheral neuropathy
4. Ovarian carcinoma

Correct answer: 2. Cerebral stroke

Explanation: Ans. B: Cerebral stroke Pulmonary embolism and cerebral thrombosis, both venous and arterial, are 7-10 times more frequent in the pill users than in the non-users